Pit and fissure sealants are bound to tooth surface by
1. Chemical bond
2. Mechanical Retention
3. Adhesive bond
4. Chemical and mechanical bond

Correct answer: 2. Mechanical Retention